Kappa angle is the angle between the
1. Pupillary axis and visual axis
2. Centre of eyeball rotation and line of fixation
3. Visual axis and optical axis
4. None of the above

Correct answer: 1. Pupillary axis and visual axis

Explanation: Angle kappa: It is the angle formed between the visual axis and pupillary line. Reference :- A K KHURANA; pg num:-27